Depolarization of human ventricular muscle starts from
1. Posterobasal part of ventricle
2. Left side of interventricular septum
3. Uppermost portion of interventricular septum
4. Basal portion of ventricle

Correct answer: 2. Left side of interventricular septum

Explanation: Order of depolarization in the heart.
-        First- Left side of the interventricular septum
-        Moves to right across the mid portion of the septum
-        Apex of heart
-        Along ventricular walls to AV groove (Endocardium to epicardium)
-        Last- Posterobasal portion of the left ventricle, pulmonary conus, uppermost portion of the septum.